Regarding Brown adipose tissue, which of the following statements is FALSE?
1. Nucleus of the fat cell is not pushed to the side
2. The fat cell contains one large fat droplet
3. Contains numerous mitochondria
4. Serves mainly as a heat generator in animals

Correct answer: 2. The fat cell contains one large fat droplet

Explanation: In a Brown fat cell the cytoplasm occurs as several small droplets unlike in a regular fat cell and hence the Brown fat cell is also called multiloculated adipose tissue.Ref: Histology by Inderbir Singh, 3rd Edition, Pages 66, 67.